The base not present in DNA is:
1. Adenine
2. Uracil
3. Guanine
4. Thymine

Correct answer: 2. Uracil

Explanation: Uracil